All are true of police inquest, except:
1. Senior head constable can investigate
2. Most common inquest
3. Panchnama has to be signed by IO
4. IO cannot summon

Correct answer: 4. IO cannot summon

Explanation: Police inquest is held by a police officer (Investigation Officer--IO) not below the rank of senior head constable in all cases of unnatural deaths with the exceptions mentioned under Magistrate inquest. Police inquest (174 CrPC) : Most common type of inquest. Minimum cadre of police for conducting inquest is station officer( senior Head Constable) Panchanama - enquiry report Can summon